Caseous necrosis is seen in?
1. CMV infection
2. Staphylococcal infection
3. Treponemal infection
4. HSV infection

Correct answer: 3. Treponemal infection

Explanation: Ans. is 'c' i.e., Treponemal infection o Caseous necrosis is a feature of syphilis which is caused by tremonemal infection.Caseous necrosiso It is a variant of coagulative necrosis. It is most commonly encountered when cell death is attributable to certain organisms e.g., mycobacterium tuberculosis (TB), syphilis and fungi (Histoplasma, Coccidioidomycosis).o In contrast to coagulative necrosis where tissue architecture is maintained, in caseous necrosis, the tissue architecture is completely obliterated. So, it has been called caseous because of its cheesy white appearance of the area of necrosis.